Chvostek sign is seen in:
1. Hypercalcemia
2. Hypoparathyroidism
3. Insulinoma
4. Diabetes mellitus

Correct answer: 2. Hypoparathyroidism

Explanation: Hypocalcemia Idiopathic hypoparathyroidism is associated with: Genetic syndrome of hypoparathyroidism, - Addison's disease and - Mucocutaneous candid iasis Pseudohypoparathyroidism: No deficiency of parathormone, but target organ (bone and kidney) are unresponsive to its action Chvostek's sign: Contraction of facial muscles, elicited by light tapping of the facial nerve ECG changes: Prolongation of QT interval REF: Harrison book of internal medicine 21ST EDITION